For uniform staining reaction, morphology and biochemical activity, it is advisable to study bacterial cultures during the:
1. Lag phase
2. Death phase
3. Stationary phase
4. Logarithmic phase

Correct answer: 4. Logarithmic phase